Tiny Linear or arc-shaped bodies, amorphous, brittle and eosinophilic in reaction, found in association with some odontogenic cysts, are called
1. Civattle bodies
2. Russell bodies
3. Guarneri bodies
4. rushton bodies

Correct answer: 4. rushton bodies